A pathologist is observing a slide. He reports seeing perineural invasion. In which one of the following perineural invasion is most commonly seen?
1. Adenocarcinoma
2. Adenoid cystic carcinoma
3. Basal Cell Adenoma
4. Squamous cell carcinoma

Correct answer: 2. Adenoid cystic carcinoma

Explanation: Adenoid cystic carcinoma